Disease caused by mite is -
1. Scrub typhus
2. Fever
3. Trench fever
4. Endemic typhus

Correct answer: 1. Scrub typhus

Explanation: Vector Diseases transmitted Soft tick Relapsing fever, Q fever, KFD (outside India) Hard tick Tularemia, Babesiosis, KFD (India), Tick paralysis, Tick encephalitis, Indian tick typhus, Tick hemorrhagic fever, Rocky Mountain spotted fever. Mite Scabies, Scrub typhus, Rickettsialpox. Park's Textbook of Preventive and Social Medicine, 25th edition, Page No. 840